Which of the statements are True/False regarding dengue fever? a) All four distinct dengue viruses have Aedes aegypti as their principal vector. b) A. aegypti usually inhabits dwellings and bites during the day. c) Severe myalgia that gave rise to the colloquial designation "break-bone fever". d) A macular rash on the first day as well as adenopathy, palatal vesicles, and scleral injection. e) Epistaxis and scattered petechiae are features of complicated dengue.
1. a,b,c,d,e-True & None-False
2. a,b,c-True & d,e-False
3. a,b,c,d-True & e-False
4. a,b,e-True & c,d,-False

Correct answer: 3. a,b,c,d-True & e-False

Explanation: Epistaxis and scattered petechiae are often noted in uncomplicated dengue. Ref: Harrisons Principles of Internal Medicine, 18th Edition, Page 1621